Using a small fine probe single lactiferous duct is excised. What is the name of the procedure?
1. Microdochectomy
2. Macrodochectomy
3. Hadfield operation
4. Webster operation

Correct answer: 1. Microdochectomy

Explanation: Ans. (a) Microdochectomy(Ref. Bailey and Love 27th edition Page 865)Microdochectomy:* A lacrimal probe or a Stiff Nylon is used.* It is inserted into a single duct through which discharge is coming.* A tennis racket incision is made and the duct is excised.* Usually done for duct papilloma causing bloody discharge.* Can be done for Duct ectasia where a single duct is identified.Hadfield Operation:* Cone excision of the major ducts.* Periareolar incision and cone of tissue is excised with nipple at apex and base towards Pectoralis fascia.* Entire major duct system is excised.* Done for cases where the abnormal duct is difficult to identify.* Example in Periductal mastitis/Duct ectasia.